Inhibition of glycolysis by increased supply of O2 is
1. Crabtree effect
2. Pasteur effect
3. Lewis effect
4. Warburg effect

Correct answer: 2. Pasteur effect

Explanation: uCrab Tree Effect - Increasing concentrations of glucose accelerates glycolysis (the breakdown of glucose) which results in the production of appreciable amounts of ATP through substrate level phosphorylation. uPasteur effect - Under aerobic conditions, glycolysis is inhibited. This inhibitory effect of oxygen on glycolysis.uWarburg Effect - Most cancer cells predominantly produce energy by a high rate of glycolysis followed by lactic acid fermentation in the cytosol, rather than by a comparatively low rate of glycolysis followed by oxidation of pyruvate in mitochondria as in most normal cells.Lehninger, Albert (2008). Principles of Biochemistry. 4th ed, p. 533.